IPC for death after abortion is ?
1. 312
2. 314
3. 313
4. 304

Correct answer: 2. 314

Explanation: Ans. is 'b' i.e., 314 314 IPC : Death of patient caused by miscarriage (10 years of imprisonment +- fine).